Which of the following does not indicate megaloblastic anemia
1. Increased reticulocyte count
2. Raised Bilirubin
3. Mild splenomegaly
4. Nucleated RBC

Correct answer: 1. Increased reticulocyte count

Explanation: Ans. a. Increased reticulocyte count Megaloblastic anemia is characterized by hypercellular bone marrow with abnormally large nucleated RBC, raised unconjugated bilirubin and mild splenomegaly Characteristic Features of Megaloblastic Anemia Bone marrow: Hypercellular with a decreased myeloid/erythroid ratio and abundant stainable iron RBC precursors: Abnormally largedeg and have nuclei that appear much less mature than would be expected from the development of the cytoplasm (nuclear-cytoplasmic asynchronydeg). Nuclear chromatin is more dispersed than expected and it condenses in a peculiar fenestrated patterndeg Raised unconjugated bilirubindeg Mild reversible splenomegalydeg (Wintrobes 12/e p1151)